Kala-Azar is found in all endemic areas except.
1. West Bengal
2. UP
3. Bihar
4. Assam

Correct answer: 4. Assam

Explanation: Ref. Foundations of Community medicine. Page. 489
According to the recent data - UP , West Bengal Bihar And Jharkhand are the endemic states of kala Azar